Choroidal neovascularization is seen in all of the following, EXCEPT:
1. Choroidal rupture
2. Angioid streak
3. High myopia
4. Hypermetropia

Correct answer: 4. Hypermetropia

Explanation: Choroidal neovascularization describes the growth of new blood vessels that originate from the choroid through a break in the Bruch membrane into the sub-retinal pigment epithelium (sub-RPE) or subretinal space. Choroidal neovascularization (CNV) is a major cause of visual loss. The most important association for CNV is with Age-related Macular Degeneration (AMD). Other conditions associated include, intraocular inflammation, angioid streaks, high myopic, choroidal rupture or trauma and chorioretinal scars or dystrophy. Hypermetropia is not implicated as a cause of CNV. Ref: Ophthalmology: Expert Consult, Edited by Myron. Yanoff, Jay S. Duker, James J. Augsburger, Page 651, Elsevier Health Sciences, 2009.